`Malignant pustule' is -
1. Anthrax ulcer
2. Proliferating rodent ulcer
3. Malignant melanoma
4. Marjolin's ulcer

Correct answer: 1. Anthrax ulcer